The dark adaptation time in Vitamin A deficiency is:
1. Increased
2. Decreased
3. Unchanged
4. Fluctuating

Correct answer: 1. Increased

Explanation: Dark adaptation time is increased in vitamin A deficient individuals.
Reference: Satyanarayana- Biochemistry, 3rd edition, pg-121